All are true about permanent teeth, except:-
1. Anterior teeth are inclined forward
2. Roots of molar are larger
3. Eruption starts with central incisor
4. They are ivory white in color

Correct answer: 3. Eruption starts with central incisor

Explanation: * Permanent teeth eruption starts with first molar at 6 years. * Temporary teeth eruption starts with lower central incisor at 6 months